All of the following are feature of malignant hypertension except -
1. Grade IV hypertensive retinopathy
2. Haemolytic blood picture
3. Renal failure
4. Respiratory failure

Correct answer: 4. Respiratory failure